The intimal B cells of synovial membrane of temporomandibular joint are
1. Fibroblast like
2. Macrophage like
3. Lmphocyte like
4. Plasma cell like

Correct answer: 1. Fibroblast like